Which of the following is not a feature of right heart failure?
1. Jugular venous distension
2. Hepatomegaly
3. Basal crepitations
4. Ascites

Correct answer: 3. Basal crepitations

Explanation: Basal crepitations are seen in left heart failure. Other findings in right heart failure are Right ventricular third heart sound (heard at left sternal edge, better in inspiration) Wide splitting of second heart sound (due to prolonged RV ejection and delay in pulmonary component or P2) Peripheral edema.